Treatment of choice for T2 carcinoma of nasopharynx is
1. Surgery
2. Radiotherapy
3. Chemotherapy
4. Surgery and postoperative radiotherapy

Correct answer: 2. Radiotherapy

Explanation: Radiotherapy is the treatment of choice for nasopharyngeal cancer. Stage I and II are treated by radiotherapy alone while stage III and IV require concomitant radiation and chemotherapy or radiation followed by chemotherapy. External beam radiation of 6000-7000 cGy can be delivered by the linear accelerator to the primary and both sides of the neck. More advanced techniques of radiotherapy such as three-dimensional conformal radiotherapy and intensity modulated radiotherapy (IM) are now being used more and more. (Ref: Diseases of Ear, Nose and Throat, P.L Dhingra, 7th edition, page 285)